Ablation of the "somatosensory area V of the cerebral cortex leads to:
1. Total loss of pain sensation
2. Total loss of touch sensation
3. Loss of tactile localization but not of two point dis- crimination
4. Loss of tactile localization and two point discrimination

Correct answer: 4. Loss of tactile localization and two point discrimination

Explanation: (D) Loss of tactile localization and two point discrimination > Thus, perception is possible in the absence of the cortex